In controlled ventilation – a) Patient is activeb) Patient is passivec) Ventilator is actived) IPPVe) Ventilater is passive
1. abc
2. bcd
3. ac
4. bd

Correct answer: 2. bcd

Explanation: Controlled mechanical ventilation is total support ventilator, i.e. total support is provided by ventilator :- ventilator is active and does all the work; patient is passive. CMV is also known as intermittent positive pressure ventilation (IPPV).